Kehr's sign seen in splenic rupture is -
1. Pain over left shoulder
2. Pain over right scapula
3. Periumbilical pain
4. Pain over renal angle

Correct answer: 1. Pain over left shoulder